Kernig's sign is seen in -
1. Pneumonia
2. Acute bacterial meningitis
3. Intellectual disability
4. Cerebral palsy

Correct answer: 2. Acute bacterial meningitis

Explanation: Ans. is 'b' i.e., Acute bacterial meningitis Acute bacterial meningitis o Acute bacteral meningitis is one of the most potentially serious infections occuring in infants and older children. o It is commoner in neonates and infants than in older children because their immune mechanism and phagocytic functions are not fully matured.